Vanilloid receptors are activated by
1. Pain
2. Vibration
3. Touch
4. Pressure

Correct answer: 1. Pain

Explanation: Vanilloid receptors are VR 1 and VRL 1 for painful temperature.